Two point threshold test, tests the integrity of:
1. Anterior spinothalamic tract
2. Lateral corticospinal tract
3. Lateral spinothalamic tract
4. Dorsal column

Correct answer: 4. Dorsal column

Explanation: Dorsal column (medial lemniscal system): Fibres mediating fine touch, fine pressure, two point discrimination, proprioception, joint position sense and vibration ascends in the dorsal column. Ref: Ganong's Review of medical physiology, 22 Edition, Page 138.